A soldier from Siachen came in emergency. How will you rule out hypothermia?
1. Oral temperature
2. Rectal temperature
3. Nasal temperature
4. Infrared tympanic probe

Correct answer: 2. Rectal temperature

Explanation: Ans. (B) Rectal temperature style="font-size: 1.04761904761905em; font-family: Times New Roman, Times, serif">(Ref: ?)Preferred is two sites temperature check--rectal and esophageal.In the given clinical scenario rectal temperature would be preferred site to measure the core body temperature.During the low or high temperature like in Siachen, the axillary and the oral temperature are highly misleading and should not be used to measure the core body temperature.Infrared tympanic thermometer measures the temperature of the eardrum which is the representative of core body temperature. However, more often the thermometer is not inserted adequately or for safety reason they are manufactured in such way that they do not reach deep into ear canal or contains cerumen which can disturb the measurement. Hence the Infrared thermometer more commonly delivers the temperature of ear canal, cerumen and hence not a reliable method of measuring he core body temperature.